The clinical features associated with coarctation of aorta in older children are the following except
1. Upper body hypertension
2. Prominent pulsation in neck
3. Fatiguableness, tiredness in leg
4. Abscence of flow murmurs over scapular region

Correct answer: 4. Abscence of flow murmurs over scapular region

Explanation: In coarctation there will be audible flow murmur over scapular region. Ref : Ghai essential of pediatrics, eighth edition, p.no: 432